A 62-year-old female, Phoolwati presents to the emergency with acute severe low back pain after too quickly sitting down onto a chair. She has a history of rheumatoid arthritis and bronchial asthma. She reports that she was on many medications for several years. X-ray shows a fracture of the fifth lumbar vertebra. Which of the following drugs are likely responsible for the patient's complaints?
1. Methotrexate
2. Prednisolone
3. Indomethacin
4. Salbutamol

Correct answer: 2. Prednisolone

Explanation: Osteoporosis is a common cause of pathological vertebral fractures. Chronic systemic use of corticosteroids like prednisolone promotes osteoporosis and therefore may cause such fractures.